true statement is
1. A man can live without society
2. A crowd can be a society and a society cannot be a crowd
3. Society constrains individual efforts
4. Modern society do not follow customs

Correct answer: 3. Society constrains individual efforts

Explanation: Ref: 25th Ed Park's Textbook of Preventive and Social Medicine